Pertusis affects which age -
1. 3-Feb
2. <5
3. 7-May
4. > 10 years

Correct answer: 2. <5

Explanation: Ans. is 'b' i.e., < 5 o In prevaccine era, and in countries where immunization is limited the peak incidence of pertussis is in children 1-5 years of age, infant accounts for < 15% of cases. o In recent years, where vaccination is employed, approximately one half of cases have occuured in infants younger than 1 year of age and one fourth in adolescent and adults.